Not seen in the first decade -
1. Retino blastoma
2. Rhabdomyosarcoma
3. Neuroblastoma
4. Ameloblastoma

Correct answer: 4. Ameloblastoma

Explanation: Ameloblastoma is not a childhood tumor.
Other three are childhood malignancies.